rPTH used in osteoporosis is:
1. Teriparatide
2. Denosumab
3. Calcitriol
4. Calcipotriol

Correct answer: 1. Teriparatide